Involution of uterus occurs at the rate of:
1. 1.0 cm/day
2. 1.25 cm/day
3. 1.5 cm/day
4. 2.0 cm/day

Correct answer: 2. 1.25 cm/day

Explanation: Ans. B: 1.25 cm/day Immediately after the delivery, the upper margin of the uterus lies about 5 inches above the pubic symphysis. In an average sized woman, this will be at the level of the umbilicus. But, by the 7th day, the uterus becomes much smaller and only its upper border can just be felt at the level of the symphysis. The size of the uterus decreases at the rate of 1.25 cm (1/2 inches) per 24 hours in the first 14 days of the postpartum period. It regains its pre-pregnancy size at the end of 6 weeks. By the end of 2 weeks uterus becomes a pelvic organ.